Clitoris develops from
1. Genital tubercle
2. Genital ridge
3. Wolfian duct
4. Mullerian duct

Correct answer: 1. Genital tubercle

Explanation: Human embryology Tenth edition Inder Bir Singh Page no 301 The genital tubercle becomes cylindrical and forms the clitoris Genital tubercle is situated in the midline between the urogenital membrane and lower part of anterior abdominal wall In males genital tubercle forms penis